In camera trial of a rape case hearing is done under
1. 376 IPC
2. 327 (2) Cr P C
3. 53 Cr P C
4. 375 IPC

Correct answer: 2. 327 (2) Cr P C

Explanation: Sec. 327 (2) CrPC In-camera trial: Trial of rape case are to be held in camera by a woman Judge/ Magistrate, if available Sec. 357 (C) CrPC All hospitals (including private), should provide medical treatment to the rape victims. Private hospitals cannot refuse treatment to rape victims Police intimation to be made immediately Free of cost treatment.